A patient present with pedal oedema with Water- hammer pulse. What is the diagnosis?
1. B1 deficiency
2. B3 deficiency
3. B6 deficiency
4. B12 deficiency

Correct answer: 1. B1 deficiency

Explanation: Ans. A. B1 deficiencyWater hammer pulse is seen in high output cardiac failure caused by wet beri-beri. The development of CHF can explain the pedal/periorbital edema of the patient.